In ideal occlusion, facial cusps of maxillary posterior teeth oppose
1. Grooves and embrasures
2. Grooves only
3. Marginal ridges and embrasures
4. Marginal ridges only

Correct answer: 1. Grooves and embrasures